To avoid contraception DMPA Is given :
1. Monthly
2. 3 Monthly
3. 6 Monthl
4. Yearly

Correct answer: 2. 3 Monthly

Explanation: Ans. is b i.e. 3 monthly